Paracetamol poisoning produces?
1. Metabolic alkalosis
2. Metabolic acidosis
3. Coloured swreat
4. Arthralgia

Correct answer: 2. Metabolic acidosis

Explanation: ANSWER: (B) Metabolic acidosisREF: Harrison 17Th ed chapter 48Paracetamol poisoning can cause metabolic acidosis